ECG changes in Hypokalemia are?
1. Tall T wave
2. Poor P wave
3. Short QT interval
4. Presence of U wave

Correct answer: 4. Presence of U wave

Explanation: Electrocardiographic changes in hypokalemia include broad flat T waves, ST depression, u wave and QT prolongation. These are most marked when serum K+ is <2.7 mmol/L. (reference: harrisons principles of internal medicine,19E page-307)